Most common presentation of extra-pulmonary TB
1. Tubercular lymphadenitis
2. Peritoneal TB
3. Pericardial TB
4. Tubercular meningitis

Correct answer: 1. Tubercular lymphadenitis

Explanation: Ans. is 'a' i.e., Tubercular lymphadenitis The most common presentation of extra pulmonary TB in both HIV sero-negative and HIV-infected patients to about 35% in general. lymph node disease is particular& frequent among HIV infected patients and in children. Lymph node TB presents as Painless swelling of the lymph nodes, most commonly at posterior cervical and supraclavicular sites. Lymph nodes are usually discrete in early disease but develop into a matted non tender mass over time and may result in a fistulous tract draining caseous material Type of TB Incidence TB ylmphadenitis 40% Genitourinary TB 10-15% Skeletal TB 10% CNS TB 5% Gastrointestinal TB 3.5% Pericardial TB 0.5% (mainly in HIV positive patientswith Case fatality of 40%)